Which of the following is true for the ratio of fresh placental weight to infant weight in the last trimester of pregnancy?
1. 1:02
2. 2:01
3. 1:06
4. 6:01

Correct answer: 3. 1:06

Explanation: Ans. C. 1:6The ratio of fresh placental weight to infant weight in the last trimester of pregnancy is 1:6. A very small placenta may be a result of chronic hypoxia while a large placenta may be because of maternal diabetes.